Which of the following feature differentiates malingering and hysteria?
1. Malingering has poor prognosis
2. Hysteria is common in females
3. Hypnosis
4. Conscious motive is seen in malingering

Correct answer: 4. Conscious motive is seen in malingering

Explanation: In malingering there is a conscious imitation of illness, whereas in hysteria there is unconscious simulation. In malingering the person is willfully simulating a disease with a conscious motive. The motive if often evident in Malingering. E.g. a soldier avoids taking part in war by having a physical or mental illness.